Rotatory movement is used for the extraction of
the
1. Mandibular canine
2. Maxillary central incisor
3. Maxillary lateral incisor
4. All of the above

Correct answer: 2. Maxillary central incisor